All of the following part of the treatment of Li toxicity, except:
1. Treating dehydration
2. Ingestion of polystyrene
3. Hemodialysis
4. Using an antagonist

Correct answer: 4. Using an antagonist

Explanation: No antidote has been described for treatment of lithium toxicity. Ref: Meyler's Side Effects of Psychiatric Drugs By Jeffrey K. Aronson, 2008, Page 125; Kaplan and Sadock's Psychiatry, 9th Edition, Page, 1071.